Muscle relaxant excreted exclusively by kidney –
1. Gallamine
2. Atracurium
3. Vercuronium
4. Sch

Correct answer: 1. Gallamine

Explanation: Muscle relaxant entirely dependent on renal excretion are gallamine and metocurine → contraindicated in renal failure.